Maternal mortality is more in ?
1. HAV
2. HBV
3. HCV
4. HEV

Correct answer: 4. HEV

Explanation: Ans. is 'd' i.e., HEV Hepatitis E virus Also known as enterically transmitted non-A non - B (NANB) virus or epidemic NANB. It is classified in the genus Herpesvirus under the family caliciviridae. It is a RNA virus with single - stranded positive sense RNA It is transmitted by fecal-oral route. In India, HEV is responsible for the majority of epidemic and sporadic hepatitis in adults. An epidemiological feature that distinguishes HEV from other enteric agents is the rarity of secondary person to person transmission (Secondary attack rate is very low 2-3% as against 10-20 % in HAV infection) A unique feature is the clinical severity and high case fatality rate of 20-40 % in pregnant women, especially in the last trimester of pregnancy. It is characteristically associated with cholestasis